All of the following arteries are common sites of occlusion by a except -
1. Left anterior descending
2. Right coronary artery
3. Circumflex coronary artery
4. Marginal artery

Correct answer: 4. Marginal artery